Which of the following is a neurotransmitter at preganglionic area?
1. ATP
2. Epinephrine
3. Norepinephrine
4. Acetylcholine

Correct answer: 4. Acetylcholine

Explanation: Ans. D AcetylcholineRef: Ganong's, 25th ed. pg. 259, 266* Acetylcholine is released at the nerve terminal of all preganglionic neuron, postganglionic parasympathetic ganglion and a few postganglionic sympathetic gangli- on(e.g.: Sweat gland and sympathetic vasodilator fibres).The remaining sympathetic postganglionic neuron release norepinephrine.